Partial thickness graft is
1. Wolfian graft
2. Thierch graft
3. Pedicle graft
4. Patch graft

Correct answer: 2. Thierch graft

Explanation: Ans. b (Thierch graft) (Ref. Bailey and Love 26th/pg.402)SKIN GRAFTSSplit Thickness (Therisch)Full Thickness (Wolfe)Donor site factor# Large area available# Smaller area# Donor site heals spontaneously# Donor site must be closed# Reusable donor site# Donor site scarsRecipient site factors# Poor color match# Good color match# Easily abraded# Abrasion resistant# inferior cosmetic results# Good cosmetic results# More reliable take# Less reliable take# Shiny texture, inelastic# Normal texture, elastic(Note: Wolfe's graft is a Whole (Full) thick-ness graft)